Afferent component in corneal reflex is mediated by
1. Optic nerve
2. Ophthalmic nerve
3. Facial nerve
4. Occulomotor nerve

Correct answer: 2. Ophthalmic nerve

Explanation: Ophthalmic nerve carries sensory fibres from the structures derived from frontonasal process. In injury to ophthalmic nerve, there is loss of corneal blink reflex. This reflex is mediated by V1 which is afferent pathway and VII nerve which subserves as efferent pathway. Ref: BD Chaurasia's HUMAN ANATOMY, Volume 3.